Which of the following muscle produces abduction of vocal cord? (Repeat)
1. Transverse arytenoid
2. Posterior cricoaryteniod
3. Lateral cricoarytenoid
4. Oblique arytenoid

Correct answer: 2. Posterior cricoaryteniod

Explanation: Ans: B (Posterior cricoarytenoid) Ref: Gray's Anatomy, 39th edition. 2008.Page 642Explanation:Posterior cricoarytenoid :The only muscle produce abduction of vocal cord (open the rimu glottides and it becomes triangular in shape)So called the Safety muscle of larynxOrigin: Posterior surface of lamina of cricoid cartilageInsertion: Muscular process of arytenoid cartilageNerve supply: Recurrent laryngeal nerve (branch of vagus)Blood supply: Laryngeal branches of superior & inferior thyroid arteriesTo remember :Safety muscle of tongue is genioglossus